All of the following are adverse effects of nicotinic acid except ?
1. Vasodilation
2. Pancreatitis
3. Liver dysfunction
4. Hyperpigmentation

Correct answer: 2. Pancreatitis

Explanation: Ans. is 'b' i.e., Pancreatitis Adverse effects of nicotine Adverse effects - 1) Marked flushing, itching (pruritis) and heat due to cutaneous vasodilatation, 2) Dyspepsia, vomiting and diarrhoea, 3) Liver dysfunction, 4) Hyperpigmentation and dryness of skin, 5) Hyperglycemia and hyperuricemia. The cutaneous effects of nicotinic acid include flushing and pruritis of face and upper trunk, skin rashes and acanthosis nigricans. These symptoms are due to vasodilatory action of niacin through release of PGs and can be prevented by pretreatment with aspirin.